In Gaucher's disease there is accumulation of --? inside the cells -
1. Galactosidases
2. Sphingomyel inert
3. Glucusidases
4. Cerebrosides

Correct answer: 4. Cerebrosides

Explanation: Ans. is 'd' i.e., Cerebrosides